Modified Kuppuswami scale include all criteria for Socio-economic status except:-
1. Income of family per month
2. Education of head of family
3. Occupation of head of family
4. Income of head of family

Correct answer: 4. Income of head of family

Explanation: Modified Kuppuswamy scale: Scale of socioeconomic status of Urban families It comprises of 3 components: Education status of head of family Occupation status of head of family Income of family per month It has: Upper upper class 26-29 Upper middle 16-25 Lower middle 11-15 Upper lower 05-10 Lower 00-04